Eosinophils secrete all except?
1. Hydrolytic enzymes
2. Major basic protein
3. Reactive form of oxygen
4. Eosinophilic chemotatic factor

Correct answer: 4. Eosinophilic chemotatic factor

Explanation: Eosinophilic chemotatic factor is secreted by neutrophils.